The advantage of resin teeth over porcelain teeth is
1. Greater wear resistance
2. Increased hardness
3. Better dimensional stability
4. Greater impact resistance

Correct answer: 4. Greater impact resistance